Portal Acinus means
1. The space between two central veins of adjacent lobules
2. The space between two hepatic ducts
3. The space between central vein and bile duct
4. The space between Portal vein and central vein

Correct answer: 1. The space between two central veins of adjacent lobules

Explanation: The hepatic or portal acinus is the functional unit of the liver.The acinus consists of an irregular shaped, roughly ellipsoidal mass of hepatocytes aligned around the hepatic arterioles and portal venules just as they anastomose into sinusoids.The acinus is roughly divided into zones that correspond to distance from the arterial blood supply - those hepatocytes closest to the arterioles (zone 1 below) are the best oxygenated, while those farthest from the arterioles have the poorest supply of oxygen. This arrangement also means that cells in the center of the acinus (again, zone 1) are the first to "see" and potentially absorb blood-borne toxins absorbed into the portal blood from the small intestine.Reference: Krishna Garg Histology; 5th edition; Page no: 171